All of the following are done in behavior therapy to increase a behavior, EXCEPT:
1. Reward
2. Punishment
3. Operant conditioning
4. Negative reinforcement

Correct answer: 2. Punishment

Explanation: Operant conditioning is a well known technique used to modify behavior. This technique involves increasing or decreasing a particular behavior by associating the behavior with a positive or negative conditions (rewards or punishments). The three basic operant conditioning techniques are positive reinforcement, negative reinforcement and punishment. Positive reinforcement increases the probability of a behavior with a positive condition such as giving reward. Negative reinforcement increases the probability of a behavior by associating the behavior with the removal of a negative condition. Punishment decreases the probability of a behavior by associating the behavior with a negative condition. So punishment leads to a decrease in resultant behavior and not an increase. Ref: Beginning Psychology By Malcolm Hardy, 5th edition, page 54; Universal Principles of Design By William Lidwell, page 174.